Which of the following is a lenti virus
1. HIV
2. HBV
3. HCV
4. Rabies virus

Correct answer: 1. HIV

Explanation: The best known lentivirus is the Human Immunodeficiency Virus (HIV), which causes AIDS. ... Lentiviruses can integrate a significant amount of viral cDNA into the DNA of the host cell and can efficiently infect nondividing cells, so they are one of the most efficient methods of gene delivery. Ref ananthnarayana and panikers microbiology textbook 8/e